Complete interruption of transmission of a disease in a geographical area , though organism is still persisting in the environment is known as:-
1. Control
2. Elimination
3. Eradication
4. Tearing out by roots

Correct answer: 2. Elimination

Explanation: Disease elimination is complete interruption of transmission of disease in a defined geographical area, but the causative organism may be persisting in the environment. Disease elimination is a 'geographical term' i.e. can be used only for a country / region India has eliminated 4 diseases till date: 1.Guinea worm : February 2000 2.Leprosy: December 2005 3.Yaws: July 2016 4. Maternal & Neonatal Tetanus : July 2016 Disease control --> reducing transmission of disease agent to such a low level that it ceases to be a public health problem. Disease eradication --> complete 'extermination' of organism ('tearing out by roots') World has eradicated ONLY 1 disease till date: Small pox (declared eradicated on 8 May, 1980)